Placental alkaline phosphatase is marker of:
1. Theca cell tumor
2. Teratoma
3. Choriocarcinoma
4. Dysgerminoma

Correct answer: 4. Dysgerminoma